Hormone replacement herapy is contraindicated in
1. Atherosclerosis
2. Thromboembolism
3. Osteoporosis
4. Gall stones

Correct answer: 2. Thromboembolism

Explanation: Ans. is 'b' i.e., Thromboembolism Contraincations of hormone replacement therapy Pregnancy and breast feeding. Undiagnose vaginal bleeding. Recent angina or MI. Venous thromboembolic disease. Breast cancer. Active liver disease. Endometrial cancer. Uncontrolled hypertension.